Height of children in 2–10 years of age is increased by –
1. 2 cm/year
2. 4 cm/year
3. 6 cm/year
4. 10 cm/ year

Correct answer: 3. 6 cm/year

Explanation: "After 4 years, the child gains about 5 cm in height every year, until the age of 10 years" -- O.P. Ghai.
"An average child gains approximately 7-8 cm in height between the age of 2-6 years and 6-7 cm in height between
6-12 years".    -- Nelson
Amongst given option, 6 cm/year is the best answer.